Posterior gastric artery is a branch of
1. Splenic artery
2. Hepatic artery
3. Left Gastric artery
4. Right Hastric artery

Correct answer: 1. Splenic artery

Explanation: The fundic branches of the stomach can be defined as a group of vessels that can arise either directly or indirectly from the following source arteries: the left inferior phrenic artery, the accessory left hepatic artery, the left gastric artery, the left middle suprarenal artery, the main trunk of the splenic artery Ref - BDC 6e vol2 pg277